All of the following statement are true regarding Q fever except:
1. It is a zoonotic disease
2. Human disease is characterized by an interstitial pneumonia
3. No rash is seen
4. Weil Felix reactions is very useful for diagnosis

Correct answer: 4. Weil Felix reactions is very useful for diagnosis

Explanation: Option 1, 2, 3 Coxiella burnetii (Q fever): - Causing agent is Coxiella burnetii. It is a Zoonotic disease. - Disease - Interstitial pneumonia - It is killed by flash method of pasteurisation - Transmitted without arthropod (respiratory mode) - No skin rash in Q fever Option 4 Weil-Felix test: - This is a heterologous agglutination test used for diagnosis of rickettsial infections - Weil-Felix Test has no value in: - Q fever, Trench fever, R. pox.